Denosumab, a monoclonal antibody against RANK ligand is used for the treatment of:
1. Rheumatoid arthritis
2. Osteroporosis
3. Osteoarthritis
4. Systemic lupus erythematosis

Correct answer: 2. Osteroporosis

Explanation: Newer drugs for the treatment of Osteoporosis: 1.Denosumab: it is a human monoclonal antibody which inhibits osteoclast differentiation and function as well as promotes their apoptosis.it is the best treatment option for postmenopausal osteoporosis. 2.Strontium ranelate: It suppresses bone resorption and stimulates bone formation in women at postmenopausal age. ESSENTIALS OF MEDICAL PHARMACOLOGY SEVENTH EDITION-K D TRIPATHI, page: 346